Phlycten is due to -
1. Exogenous allergy
2. Endogeneous allergy
3. Viral keratitis
4. Fungal keratitis

Correct answer: 2. Endogeneous allergy

Explanation: Phlyctenular conjunctivitis - Endogenous allergy It is believed to be a delayed hypersensitivity (Type IV cell mediated) response to endogenous microbial proteins. Causative allergens are :- (i) Staphylococcus proteins (most common); (ii) Tuberculous proteins and (iii) Proteins of Moraxells axenfeld bacillus and certain parasistes. Vernal keratoconjunctivitis - Exogneous allergy Reference : AK khurana 7th edition